Behaviour therapy to change maladaptive behaviours using response as reinforcer uses the principles of which type of learning?
1. Modeling
2. Social learning
3. Classical conditioning
4. Operant conditioning

Correct answer: 4. Operant conditioning

Explanation: Operant conditioning is a form of learning in which responses are controlled by their consequences. The term operant conditioning for this type of learning was coined by B.F Skinner.The three basic operant conditioning techniques are reinforcement, negative reinforcement and punishment. Positive reinforcement increases the probability of a behavior with a positive condition such as giving reward. Negative reinforcement increases the probability of a behavior by associating the behavior with the removal of a negative condition. Punishment decreases the probability of a behavior by associating the behavior with a negative condition.Ref: Beginning Psychology By Malcolm Hardy, 5th Edition, Page 54; Universal Principles of Design By William Lidwell, Page 174; Psychology: Themes and Variations By Wayne Weiten, 9th Edition, Page 240; Introduction to Psychology: Gateways to Mind and Behavior By Dennis Coon, 12th Edition, Page 221.